Chron's disease may produce all the following except
1. Vesicovaginal fistula
2. Perianal fistula
3. Jejunocolic fistula
4. Rectovesical fistula

Correct answer: 1. Vesicovaginal fistula